A 42- year- old female has palpable purpura with rash over buttocks, pain in abdomen, and arthropathy diagnosis is
1. Sweet syndrome
2. HSP
3. Purpura fulminans
4. Meningococcemia

Correct answer: 2. HSP

Explanation: B i.e., HSP